Drug which is useful for the diagnosis of myasthenia gravis is?
1. Neostigmine
2. Physostigmine
3. Edrophonium
4. Atropine

Correct answer: 3. Edrophonium

Explanation: The two types of weakness require opposite treatments. They can be differentiated by edrophonium test.